All are clinical features of myasthenia gravis, EXCEPT:
1. Spontaneous remission
2. Absent deep tendon reflexes
3. Proximal muscle involvement
4. Worsen by exertion

Correct answer: 2. Absent deep tendon reflexes

Explanation: Answer is B (Absent deep tendon reflexes): 'Despite the muscle weakness, deep tendon reflexes are preserved' -- Harrison 16th/2519; Harrison 17th/ 2673 'Suspect Myaesthenia gravis in a case of weakness with fatiguability, without loss of reflexes & impairment of sensations' -- Harrison Mvaesthenia Gravis : Review : Etiology : Autoimmune disorders mediated by specific Anti ACH receptor antibodies. Fundamental defect : Decrease in number of available ACH receptors at post synaptic muscle membrane. Age / Sex : All ages are affected Most prevalent in women in twenties/ thirties and men in fifties & sixties. Women are affected more frequently than menQ. (3 : 2) Features : Weakness : in characteristic distribution as elaborated below Fatiguability: Weakness increases on repeated use and may improve following rest or sleep A variable course marked by remissions and exacerbations (remissions are rarely complete or permanent) Association : Thymic abnormalities and Thymomas (Neoplastic) Autoimmune disorders : Rheumatoid Arthritis, SLE, Perenicious anemia, hyperthyroidism, ulcerative colitis, polymyositis etc.